A man sustained injury and presented with fluid coming out through nose. What could be the possible fracture?
1. Fracture base of skull
2. Fracture of mandible
3. Fracture of maxilla
4. None of the above

Correct answer: 1. Fracture base of skull

Explanation: BASILAR SKULL FRACTURE Fracture of the base of the skull, typically involving the temporal bone, occipital bone, sphenoid bone, and /or ethmoid bone. Leaking fluid may accumulate in the middle ear space, and dribble out through a perforated eardrum (CSF otorrhea) or into the nasopharynx the Eustachian tube, causing a salty taste. CSF may also drip from the nose (CSF rhinorrhea) in fractures of the anterior skull base, yielding a halo sign. These signs are pathognomonic for basilar skull fracture.